Which of the following is NOT a somatic symptom:
1. Anhedonia
2. Constipation
3. Impotence
4. Numbness

Correct answer: 1. Anhedonia

Explanation: The somatic symptoms as defined in somatisation disorder give special importance to GI symptoms (constipation), sexual symptoms (impotence), numbness (neurological symptoms).